Craniofacial dysjunction seen in
1. Lefort III fracture
2. Guerrin's fracture
3. c) High Lefort I fracture
4. d) None of the above

Correct answer: 1. Lefort III fracture